Valproic acid causes all except:
1. It is an enzyme inducer
2. It causes obesity
3. It causes hepatotoxicity
4. It causes neural tube defects

Correct answer: 1. It is an enzyme inducer